Inferior angle of scapula lies at what level?
1. T7
2. T10
3. T4
4. T2

Correct answer: 1. T7

Explanation: Ans. is 'a' i.e., T7 SCAPULA* It is flat triangular bone overlapping second to seventh rib of the upper part of posterolateral chest wall.Important features are:-i) Inferior angle overlaps seventh rib or seventh intercostal space and lies opposite to tip of T7 spinous processii) Superior angle lies opposite to tip ofT2 spinousprocessiii) Lateral angle corresponds to glenoid fossa.iv) Junction of medial (vertebral) border corresponds to tip of T3 spine.v) Spine of scapula is at T3T4 level